Fluoxetine is a potent reuptake blocker of this substance?
1. Morphine
2. Serotonin
3. Norepinephrine
4. Cholecystokinin

Correct answer: 2. Serotonin

Explanation: Serotonin